Long term complication (>10yr) renal transplantation is/are -
1. Bacterial infection
2. Malignancy
3. Viral infection
4. Acute graft versus host reaction

Correct answer: 2. Malignancy

Explanation: Chronic complications of renal transplant - Malignancy -most common lesions are cancers of skin, lips and carcinoma of cervix as well as lyhomas such as non Hodgkin lymphoma. Hypertension Hypercalcemia Anemia Chronic hepatitis -due to hepatitis B and C virus infection Ref:Harrison 20 th edition pg no 2131